Proteins targeted for destruction in eukaryotes are covalently linked to :
1. Clathrin
2. Pepsin
3. Laminin
4. Ubiquitin

Correct answer: 4. Ubiquitin

Explanation: D i.e. UbiquitinUbiquitine is a small, highly conserved protein (76 amino acid polypeptide), that plays a key role in marking (targeting) & escorting many intracellular protein mainly abnormal newly produced protein and aged normal protein for degradationQ (ticket of degradation) in multisubunit proteolytic particles the 26 S proteasome. It is also involved in activation of NFkB, cell cycle regulation (degradation of cycles), DNA repair, viral infections etc.Clathrin is a peripheral membrane protein, that helps in endocytosis. Pepsin is proteolytic enzyme secreted by chief cells of stomach and is used for digestion. Laminin is found in extracellular matrix a most abundant glycoprotein present in basement membrane